Free-floating persistent anxiety and Excessive worry are characteristic features of
1. Generalised anxiety disorder
2. Obsessive compulsive disorder
3. Schizotypal disorder
4. Panic disorder

Correct answer: 1. Generalised anxiety disorder

Explanation: Generalized anxiety disorder (GAD)'Excessive worry' (generalized free-floating persistent anxiety) and feelings of apprehension about everyday events/problems, with symptoms of muscle and psychic tension, causing significant distress/functional impairment. obsessive compulsive disorder is a type of neurosis that is assosiated with obsessions and compulsions that is charecterised by repeated, recurrent, irrelevant, intrusive thought assosiated with motor acts schizotypal disorder is a type of personality which is assosiated with odd and eccentric behaviour, recently schizotypal is also mentioned a s atype of schizophrenia Reference: Oxford Textbook of Psychiatry; 3rd edition; Chapter 9; Anxiety and stress-related disorders